Which of the following antimicrobials has antipseudomonal action?
1. Cefpodoxime proxetil
2. Cephradine
3. Cefotetan
4. Cefoperazone

Correct answer: 4. Cefoperazone